Four carpal bones are present at what age?
1. 3 years
2. 4 years
3. 5 years
4. 6 years

Correct answer: 2. 4 years

Explanation: 4 years REF: Parikh 6' edition page 2.9 Between 2 to 6 years, the number of carpal bones present on X ray represents the approximate age in years, as for example, four carpal bones -- 4 years.